Which of the following anti-leprotic drug is not given under supervision ?
1. Rifampicin
2. Clofazimine
3. Dapsone
4. All are given supervised

Correct answer: 3. Dapsone

Explanation: Ans. is 'c' i.e., Dapsone